Growth rate is calculated by ?
1. Crude birth rate\/Crude death rate
2. Net reproduction - Crude death rate
3. Total fertility rate - Crude death rate
4. Crude birth rate - Crude death rate

Correct answer: 4. Crude birth rate - Crude death rate

Explanation: park's textbook of preventive and social medicine 23rd edition. *when crude death rate is subtracted from crude birth rate the net residual is the current annual growth rate.